Which of the following is the most common location of hypertensive haemorrhage -
1. Pons
2. Thalamus
3. Putamen/external capsule
4. Subcortical white matter

Correct answer: 3. Putamen/external capsule